Which of the following is a variant of papillary thyroid carcinoma?
1. Columnar cell
2. Insular
3. Hurthle cell carcinoma
4. Medullary

Correct answer: 1. Columnar cell

Explanation: Variants of papillary carcinoma thyroid : Pure papillary Follicular variant Diffuse sclerosing variant Tall cell, Columnar cell variant Insular and hurthle cell carcinoma are variant of follicular carcinoma of thyroid. Medullary cell carcinoma is carcinoma arising from C cell. Ref: Harrison 17/e, Page 2242.